Chemoprophylaxis is indicated for all of the following except:
1. Cholera
2. Measles
3. Meningococcal meningitis
4. Conjunctivitis87. Under the school vision screening

Correct answer: 2. Measles

Explanation: Ans. b. Measles